Iris shadow is sign of
1. Mature cataract
2. Hypermature cataract
3. Advanced glaucoma
4. Immature cataract

Correct answer: 4. Immature cataract

Explanation: Iris shadow is a sign of immature cataract When an oblique beam of light is thrown on pupil, a crescentic shadow of pupillary margin of iris will be formed on the greyish opacity of the lens, as long as clear cortex is present between the opacity and pupillary margin. When lens is completely transparent or opaque, no iris shadow is formed. Hence presence of iris shadow is a sign of immature cataract..